Which of the following statistics should be adjusted for age to allow comparisons
1. Age specific fertility rate
2. Crude mortality rate
3. Perinatal mortality rate
4. Infant mortality rate

Correct answer: 2. Crude mortality rate

Explanation: Crude death rate is adjusted on the basis of age to obtain "Age adjusted or standardized death rates".
Advantage of age adjusted standardized death rates is that it removes all the confounding effects of different age structures and yields a single standardized adjusted rate, by which the mortality experience can be directly compared.